Lower part of vagina develops from:
1. Urogenital sinus
2. Mesonephric duct
3. Paramesonephric duct
4. Mesonephric tubules

Correct answer: 1. Urogenital sinus

Explanation: Development of vagina Upper part of the vagina derived from Mullerian ducts Lower part from the sinovaginal bulbs (formed by fusion form the vaginal plate) all derived from the urogenital sinus.